Which of the following relaxes mesangial cells in the glomerulus
1. Dopamine
2. Histamine
3. AT III
4. PDGF

Correct answer: 1. Dopamine

Explanation: Substances causing relaxation of mesangial cells
-        ANP
-        Dopamine
-        PGE2
-        cAMP
Substances causing contraction of mesangial cells
-        Endothelin
-        Vasopressin
-        PGF2
-        Angiotensin II
-        Norepinephrine
-        PAF
-        PDGF
-        Thromboxane A2
-        Leukotrienes C4, D4
-        Histamine